Infection with colitis is caused by:
1. Enterobius vermicularis
2. Trichuris trichiura
3. Strongyloides
4. Clonorchis

Correct answer: 2. Trichuris trichiura

Explanation: Ans. B. Trichuris trichiura.a. Trichuriasis is associated with colitis. It can also cause rectal prolapse,b. Enterobius vermicularis causes perineal pruritus or enuresis,c. Strongyloides localizes in the upper small intestines,d. Clonorchis localizes in the biliary tract.